Stunned pulp is
1. Pulp does not respond for 6-8 weeks after trauma
2. Gives stunning appearance on radiograph
3. Necrosed pulp
4. Hyperaemic pulp

Correct answer: 1. Pulp does not respond for 6-8 weeks after trauma